70 M presented to AIIMS OPD with fatigue. Fasting sugar was 110 mg%, PP was 180 mg%, Hbalc was 6.1 %. What is your diagnosis?
1. Prediabetes
2. Stress induced
3. Normal
4. Diabetes

Correct answer: 1. Prediabetes

Explanation: Ans. (a) Prediabetes(Ref: Robbins 9th/pg 1106; 8th 1131)Diagnostic criteria according to ADA and WHO: Presence of any 1 or more of the following-CriteriaDiabetesImpaired glucose tolerance (pre-diabetes)* Fasting plasma glucose>=126mg/dLbetween 100 and 125mg/dL* Random plasma glucose>=200mg/dL-* 2-hour plasma glucose during oral glucose tolerance test (OGTT) with 75 g>=200mg/dLbetween 140 and 199mg/dL* Glycated hemoglobin (HbA1C) level>=6.5%between 5.7% and 6.4%.